NOT a feature of Digeorge Syndrome
1. Caused due to deletion of long arm of Chromosome 22
2. Featured with Cleft palate
3. Associated with cardiac septal defects
4. Features includes Hypercalcaemia

Correct answer: 4. Features includes Hypercalcaemia

Explanation: Features of Digeorage Syndrome include parathyroid gland hypoplasia leading to Hypocalcemia, not Hypercalcaemia.